Which of the following is a prodrug of adrenaline used topically in glaucoma
1. Dorzolamide
2. Dipivefrine
3. Phenylpropanolamine
4. Brimonidine

Correct answer: 2. Dipivefrine

Explanation: a Adrenergic agonists Dipivefrine:- It is a prodrug of Adr; penetrates cornea and is hydrolysed by the esterases present there into Adr. The released Adr (from dipivefrine) lowers i.o.t. by augmenting uveoscleral outflow, b2 receptor mediated increase in hydraulic conductivity of trabecular filtering cells, as well as by reducing aqueous formation (a1 + a2 receptor mediated). Though better tolerated and longer acting than Adr, dipivefrine still produces significant ocular burning and other side effects. Ref:- kd tripathi; pg num:-154